Bare area of liver is related to -
1. Aorta
2. Hepatic vein
3. Portal vein
4. Gall bladder

Correct answer: 2. Hepatic vein

Explanation: Hepatic vein Between two layers of coronary ligaments, there is a large triangular area in diaphragmatic surface of liver which is not covered by peritoneum. It is called 'bare area of liver'. It is related to inferior vena cava (IVC). The hepatic veins (usually three) leave the liver in bare area. This area is clinically important as it is a site where infection can spread from abdominal cavity to thoracic cavity.